All are true about Kerley B line except –
1. Horizontal
2. Runs from hilar area to peripheral area
3. Due to thickening of septa
4. Due to pulmonary venous hypertension

Correct answer: 2. Runs from hilar area to peripheral area

Explanation: Kerley's B lines are transverse (Horizontal) lines at lung base. These are due to thickening of interlobar septa due to edema caused by pulmonary venous hypertension (congestion) as occurs in LVF or mitral stenosis.